Middle radio-ulnar joint is a type of
1. Pivot Joint
2. Saddle Joint
3. Syndesmosis
4. Gomphosis

Correct answer: 3. Syndesmosis

Explanation: The interosseous membrane of the forearm or the middle radioulnar joint is a fibrous sheet that connects the interosseous margins of the radius and the ulna. It is the main part of the radio-ulnar syndesmosis, a fibrous joint between the two bones.This connective tissue sheet has three major functions:Holds the radius and ulna together during pronation and supination of the forearm, providing additional stability.Acts as a site of attachment for muscles in the anterior and posterior compartments of the forearm.Transfers forces from the radius to the ulna.Proximal radioulnar and Distal radioulnar joints are pivot joints, responsible for pronation and supination of the forearm.Reference: Vishram Singh Anatomy; 2nd edition; Page no: 133